Which one of the following is found on the crown of permanent mandibular first molars but is not found on the crowns of mandibular second molars?
1. MB cusp.
2. Distobuccal groove.
3. Lingual groove.
4. DB cusp.

Correct answer: 2. Distobuccal groove.

Explanation: DB developmental groove is not found on mandibular second molars.